Key glycolytic enzymes:
1. Phosphofructokinase
2. Hexo kinase
3. Pyruvate kinase
4. All of the above

Correct answer: 4. All of the above

Explanation: A i.e. Phosphofructo kinase; B i.e. Hexo kinase; C i.e. Pyruvate kinase